Dentin bonding used for amalgam bonding is
1. HEMA
2. 1 META
3. 4 META
4. Not used

Correct answer: 3. 4 META